Oral anticoagulants are monitored by:
1. Bleeding time (BT)
2. Coagulation time (CT)
3. Prothrombin time (PT)
4. Partial thromboplastin time (PTT)

Correct answer: 3. Prothrombin time (PT)